Iron is absorbed from
1. Duodenum
2. Jejunum
3. Colon
4. Stomach

Correct answer: 1. Duodenum